Structures passing through Calot's triangle are all EXCEPT:
1. A) Portal vein
2. B) Cystic artery
3. C) Right hepatic artery
4. D) Lymph node of Lund

Correct answer: 1. A) Portal vein

Explanation: THE HEPATOBILIARY TRIANGLE OR CYSTOHEPATIC TRIANGLE OR CALOT'S TRIANGLE: Boundaries: Common hepatic duct medially Cystic duct inferiorly Inferior surface of liver superiorly Contents: Cystic artery Right hepatic artery Lymph node of Lund Ref: Gray's anatomy text book of anatomy BD chaurasia 21st Ed.